Which of the following is not true regarding Whipple's Disease ?
1. Bacteria laden macrophages are present in lymphatic system.
2. It has autoimmune etiology.
3. PAS positive diastase resistant granules are present.
4. Foamy macrophages are characteristics .

Correct answer: 2. It has autoimmune etiology.

Explanation: Whipple's disease is caused by Gram positive actinomycete Tropheryma whipplei.